Lung injury with bad prognosis is?
1. Open pneumothorax
2. Closed pneumothorax
3. Tension pneumothorax
4. All have same prognosis

Correct answer: 3. Tension pneumothorax

Explanation: ANSWER: (C) Tention pneumothoraxREF: Handbook of practical medicine: Volume 1 by Hermann Eichhorst page 29As a general thing, the prognosis of open and dosed pneumothorax is more favorable than that of tention pneumothorax, because the latter is apt to be attended with great tension of the gases, and marked displacement of the adjacent structures